Nerve to pterygoid canal is formed from -
1. Deep petrosal nerve + greater petrosal nerve
2. Facial nerve
3. Lesser superficial petrosal nerve
4. Lesser petrosal nerve

Correct answer: 1. Deep petrosal nerve + greater petrosal nerve

Explanation: Ans. is 'a' i.e., Deep petrosal nerve + greater petrosal nerve o The deep petrosal nerve joins the greater petrosal nerve to form the nerve of the pterygoid canalo Greater petrosal nerve proceeds towards the foramen lacerum, where it joins the deep petrosal nerve which carries sympathetic fibres to form the nerve of pterygoid canal. This passes through the pterygoid canal to reach the pterygopalatine ganglion.o Postganglionic parasympathetic fibres arising in the ganglion supply the lacrimal gland and the mucosal glands of the nose, palate and pharynx. The gustatory fibres do not relay in the ganglion and are distributed to the palate.Petrosal nervesGreater petorsai nerveo First branch of facial nerveo Arises from geniculate gangliono In foramen lacerum it joins deep petorsai nerve and forms the nerve to pterygoid canalo Supplies lacrimal glands, nose, mucosal glands of pharynx, palate.Lesser petorsai nerveo Branch of 9th cranial nerve through tympanic plexus (passes via otic ganglion)o It suplies parotid gland.Deep petorsai nerveo it is a branch of sympathetic plexus around internal carotid artery.o It contains cervical sympathetic fibers.External petorsai nerveo It is an inconsistant branch of sympathetic plexus around middle meningeal artery.